False about hydatid cyst is which of the following:
1. Ideally should be managed by pre-operative albendazole followed by surgery
2. 20% saline is scolicidal
3. Most commonly involves lung
4. PAIR is employed for hepatic hydatid cysts

Correct answer: 3. Most commonly involves lung

Explanation: Ans. C: Most commonly involves lungTheoretically, echinococcosis can involve any organ.The liver is the most common organ involved, followed by the lungs. These 2 organs account for 90% of cases of echinococcosis.Two benzimidazoles are used, albendazole and mebendazole. Albendazole is administered in several 1-month oral doses separated by 14-day intervals.In AE (alveolar echinococcosis), radical surgical excision is coupled with chemotherapy in operable cases and long-term aggressive chemotherapy for partially resected or unresectable lesions.In CE (cystic echinococcosis), consider risks and benefits, indications, and contraindications for each case before making a decision regarding the type and timing of surgery.Role of PAIR in CE: This technique, performed using either ultrasound or CT guidance, involves aspiration of the contents a special cannula, followed by injection of a scolicidal agent for at least 15 minutes, and then respirations of the cystic contents. This is repeated until the return is clear. The cyst is then filled with isotonic sodium chloride solution. Perioperative treatment with a benzimidazole is mandatory (4 days prior to the procedure and 1-3 months after).